True about genomic imprinting
1. Different expression of gene depending on parent of origin
2. Prader-Willi syndrome is maternal deletion of chromosome 15
3. Angelmal syndrome is due to paternal deletion of chromosome 15
4. Uniparental disomy is other name of genomic imprinting

Correct answer: 1. Different expression of gene depending on parent of origin

Explanation: Genomic imprinting Genomic imprinting is the epigenetic phenomenon by which certain genes are expressed in a parent-of-origin-specific manner. If the allele inherited from the father is imprinted, it is thereby silenced, and only the allele from the mother is expressed. If the allele from the mother is imprinted, then only the allele from the father is expressed. Forms of genomic imprinting have been demonstrated in fungi, plants and animals. As of 2014, there are about 150 imprinted genes known in the mouse and about half that in humans. Genomic imprinting is an inheritance process independent of the classical Mendelian inheritance. It is an epigenetic process that involves DNA methylation and histone methylation without altering the genetic sequence. These epigenetic marks are established ("imprinted") in the germline (sperm or egg cells) of the parents and are maintained through mitotic cell divisions in the somatic cells of an organism. Appropriate imprinting of certain genes is important for normal development. Human diseases involving genomic imprinting include Angelman syndrome and Prader-Willi.